Secondary osteosarcoma is associated with
1. Paget's disease
2. Osteogenesis imperfect
3. Melhoreostosis
4. Anklyosing spondylitis

Correct answer: 1. Paget's disease

Explanation: Causes of secondary osteosarcomaPaget's DiseaseFibrous dysplasiaRadiationEnchondromatosisHereditary multiple exostosesChronic osteomyelitisBone infarction (Refer: Manish Kumar Varshney's Essential Orthopedics Principles & Practice, 1st edition, pg no. 191, 192)